Calculate the plasma osmolality if serum Na+ is 130, glucose is 180 mg/dl, & BUN is 56, K+ is 5, cl- is 117.
1. 260
2. 270
3. 280
4. 290

Correct answer: 4. 290

Explanation: * Normal plasma osmolality = 285 - 295 mosm/kg *